Amber coloured tooth translucency, blue sclerae and bone fragility and a history of previous bone fractures are characteristic findings in:
1. Osteoporosis
2. Osteogenesis imperfecta
3. Osteitis deformans
4. Osteitis fibrosa cystica

Correct answer: 2. Osteogenesis imperfecta